Vaccine which is eradicated worldwide is -
1. Small pox
2. Polio
3. Measles
4. Diphtheria

Correct answer: 1. Small pox

Explanation: Small pox is eradicated worldwide, so no vaccine. REF. PARK'S TEXTBOOK OF PREVENTIVE AND SOCIAL MEDICAL 21ST EDITION. PAGE NO - 132